Spouse jealousy is a feature of -
1. Othello syndrome
2. Chronic alcoholism
3. Stockholm syndrome
4. Clerambault's syndrome

Correct answer: 1. Othello syndrome

Explanation: Ans. is 'a' i.e., Othello syndrome o Othello Syndrome :- When the content of delusions is predominantly jealousy (infedility) involving the spouse, person feels an unreasonable fear that a partner has been unfaithful, is presently unfaithful, or plans to be unfaithful, it is called as Othello Symdrome or conjugal paranoia. Elaborate steps are taken to prevent the spouse to go outside (Locks the spouse, not allowing her to go outside).o Clerambaultfs syndrome :- When the content of delusions is erotic (erotomanic), the condition is knowm as Clerambaulfs syndrome or erotomania. It occurs most often in women, there is an erotic conviction that a person with (usually a) higher status is in love with the patient.o Stockholm syndrome, or capture-bonding: is a psychological phenomenon in which hostages express empathy and sympathy and have positive feelings towrard their captors, sometimes to the point of defending and identifying with the captors.